All may lead to hives and wheals except –
1. Cold
2. Hepatitis C
3. Serum sickness
4. Typhoid fever

Correct answer: 4. Typhoid fever

Explanation: Urticaria is also referred to as hives.
Wheal is the characteristic lesion of urticaria.
Cold, serum sickness and Viral hepatitis (HBV, HCV) can cause urticaria.
Typhoid does not cause urticaria.